An individual lacking the enzyme tyrosinase would be particularly predisposed to develop which of the following?
1. Glioblastoma multiforme
2. Hemangioblastoma
3. Hepatoma
4. Melanoma

Correct answer: 4. Melanoma

Explanation: This question is simple if you know that tyrosinase is an enzyme in the biosynthetic pathway for melanin formation from tyrosine. A lack of tyrosinase causes one form of albinism; a second form is caused by defective tyrosine uptake. Patients with albinism are vulnerable to developing cancers of the skin of all types, including basal cell carcinoma, squamous cell carcinoma, and melanoma. The melanomas are unusual in that they are non-pigmented (amelanotic) rather than black, since the patients cannot form melanin. Ref: Park H., Yaar M. (2012). Chapter 72. Biology of Melanocytes. In L.A. Goldsmith, S.I. Katz, B.A. Gilchrest, A.S. Paller, D.J. Leffell, N.A. Dallas (Eds), Fitzpatrick's Dermatology in General Medicine, 8e.